Heart begins to beat in the week:
1. 4
2. 5
3. 6
4. 7

Correct answer: 1. 4

Explanation: Heart beat begins by day 22 post-ovulation and can be detected by Doppler ultrasound. It is week 4 post-ovulation (or fertilization) and 6 weeks from LMP (Last Menstrual Period).